Pulsatile GnRH is used for managing:
1. Precocious puberty
2. Fibroid
3. DUB
4. Anovulatory infertility

Correct answer: 4. Anovulatory infertility

Explanation: Ans. is d, i.e. Anovulatory infertilityPulsatile GnRH is used for:* Ovulation induction (in managing anovulatory infertility)* Delayed, puberty